Facial nerve palsy can be caused by ?
1. Cholesteatoma
2. Multiple sclerosis
3. Mastoidectomy
4. All of the above

Correct answer: 4. All of the above

Explanation: Ans. is 'd'' i.e., All of the above Causes of facial paralysis Central :- Brain abscess, pontine glioma, Polio, multiple sclerosis Intracranial part (cerebellopontine angle) :- Acoustic neuroma, meningioma, congenital cholesteatoma, metastatic carcinoma, meningitis Intratemporal part :- Idiopathic :- Bell's palsy, Melkersson's syndrome Infections :- ASOM, CSOM, Herpes zoster oticus, malignant otitis externa Trauma :- Surgical (mastoidectomy, stapedectomy), accidental (fractures of temporal bone) Neoplasms :- Malignancies of external and middle ear, glomus jugular, facial nerve neuroma, metastasis (from breast, lung etc). Extracranial part :- Malignancies or surgery or injury to parotid gland Systemic diseases :- Diabetes, hypothyroidism, uremia, PAN, Sarcoidosis (Heerfordt's syndrome), leprosy, leukaemia, demyelinating disease